Among the following which is a feature of testicular feminization syndrome .
1. XX pattern
2. Commonly reared as male
3. Well formed female internal genitalia
4. High testosterone levels

Correct answer: 4. High testosterone levels

Explanation: High testosterone levels In Testicular Feminization Syndrome Genotype -- 46XY Gonads -- Testis (intrabdominal) Phenotype -- Female Internal Genitalia -- Vagina is short. uterus absent. They are reared as female. Testosterone levels may be Low / Normal / High. Lab investigation : Testosterone levels may be Normal/High/Low depending on the degree of androgen resistance and the contribution of estradiol to feedback inhibition of the hypothalamus pituitary axis. Harrison 17/e, p 2344 LH levels are high (due to insensitivity of Pituitary and hypothalamus to testosterone) but FSH levels are Normal.